WAGR syndrome is caused by defect in which chromosome:
1. 6
2. 10
3. 11
4. 14

Correct answer: 3. 11

Explanation: WAGR syndrome is characterized by genital anomalies, aniridia, hemihypertrophy, and Wilms' tumor. The constellation of defects is due to a microdeletion in chromosome 11 that includes both the PAX6 (aniridia) and WT1 genes that are only 700 kb apart. Ref: Langman's embryology 11th edition Chapter 15.